Antibody found in patients of myaesthenia gravis is directed against
1. Acetycholine
2. Acetycholine receptors
3. Acetycholine vesicles in nerve terminal
4. Actin-myosin complex of the muscle

Correct answer: 2. Acetycholine receptors

Explanation: *myasthenia gravis is an autoimmune disease,most commonly caused by antibodies to acetylcholine receptors in the post junctional membrane of the neuromuscular junction ,which are found in around 80%of affected patients. Ref Harrison20th edition pg 2378